Which of the following is an adverse effect of β2 agonists
1. Hypoglycemia
2. Hypomagnesemia
3. Hypophosphatemia
4. Hypokalemia

Correct answer: 4. Hypokalemia

Explanation: β2 agonists cause a brief spell of hyperkalemia followed by hypokalemia.

These do not cause hypoglycemia. However, β2 blockers delay the recovery from hypoglycemia.